Jaundice in the new–born is physiological when –
1. The infant is visibly jaundiced in the first 24 hours of birth
2. The total bilirubin concentration in the serum increases by 1 mg/dl per day
3. The total bilirubin concentration is above 15 mg/dl
4. Jaundice persists for more than one week in a tenn infant

Correct answer: 2. The total bilirubin concentration in the serum increases by 1 mg/dl per day